Which of the following is not a complication of adenoidectomy?
1. Hyponasality of speech
2. Retro pharyngeal abscess
3. Velopharyngeal insufficiency
4. Grisel syndrome

Correct answer: 1. Hyponasality of speech

Explanation: Ans. a. Hyponasality of speech (Ref: Dhingra 5/e p443, 335; Scott and Brown 7/e p1098, 1236)Hyponasality of speech is not a complication of adenoidectomy. Adenoidectomy results in hypernasality.Causes of Hyponasality (Rhinolalia clausa)Causes of Hypernasality (Rhinolalia aperta)* Common cold* Nasal allergy* Nasal polypQ* Nasal growthQ* AdenoidsQ* Nasopharyngeal massQ* Familial speech pattern* Habitual* Velopharyngeal insufficiency* Congenitally short soft palate* Submucous palateQ* Large nasopharynxQ* Cleft of soft palateQ* Paralysis of soft palateQ* Post-adenoidectomyQ* Oronasal fistula* Familial speech pattern* Habitual Complications of Adenoidectomy* Hemorrhage* Injury to eustachian tube opening* Injury to pharyngeal musculature and vertebrate* Grisel syndrome* Velopharyngeal insufficiency* Nasopharyngeal stenosis* RecurrenceGrisel SyndromeNon-traumafic atlanto-axial subluxation may occur secondary to any inflammatory process in the upper neckQDue infection in the peri-odontoid vascular plexusQ that drains the region, bringing about paraspinal ligament laxityDescribed following tonsillectomy and adenoidectomyQIt may be associated with overuse of diathermy either for removal of adenoid or following curettageQ, when used for hemostasis.Children with Down syndromeQ have atlanto-axial instabilityTreatment:Cervical immobilizationQ; AnalgesiaQ; AntibioticsQ to reduce the risk of neurological deficit